MMC (migrating motor complex) occurs at the rate of _____ and at an interval of _______
1. 90 cm/min, 5 min
2. 5cm/min, 90 min
3. 90 cm/sec, 5 min
4. 5 cm/sec, 90 min

Correct answer: 2. 5cm/min, 90 min

Explanation: Migrating motor complex (MMC) migrates from the stomach to the distal ilieum at a rate of about 5 cm/min and also occurs at intervals of approximately 90 minutes. MMC is a type of gastrointestinal motility that occurs during fasting between periods of digestion. It is initiated by motilin. It helps to clear the stomach and small intestine of luminal contents in preparation for the next meal. Gastric secretion , bile flow, and pancreatic secretion increases during each MMC. After ingestion of a meal, secretion of motilin is suppressed and the MMC is abolished. Each cycle of MMC has 3 phases Phase I- Quiescent period Phase II- Period of irregular electrical & mechanical activity. Phase III- ends with bursts of regular activity Ref: Ganong's Review of medical physiology 26th edition Pgno: 486